Polytrauma patient back examination
1. log roll
2. Barrel role
3. Chin lift
4. None

Correct answer: 1. log roll

Explanation: Answer- A. log rollOnce the patient has been evaluated anteriorln a log roll should be performed to inspect the back.One member of the team is responsible for maintaining in-line spinal stabilisation.